In the development of balanced occlusion of a complete denture, during tooth arrangement, a steep condylar path is associated with a low degree of incisel guidance, this requires that the compensating curve should be;
1. Flat
2. Shallow
3. Prominent
4. Reverse

Correct answer: 3. Prominent